Sweaty feet odor in body fluids occur d/t deficiency of
1. Biotin
2. FAD linked dehydrogenase
3. Thiamin linked decarboxylase
4. Leucine transaminse

Correct answer: 2. FAD linked dehydrogenase

Explanation: Sweaty feet odor in body fluids a/ w neurological problems occur in deficiency of FAD linked dehydrogenase specific for isovaleryl COA.